Most common enzyme deficiency leading to childhood hypertension is –
1. 17–Alpha hydroxylase
2. 21–Beta hydroxylase
3. 11–Beta hydroxylase
4. 3–Beta hydroxy steroid dehydrogenase

Correct answer: 3. 11–Beta hydroxylase

Explanation: Salt retention and hypertension is seen in 17-α hydroxylase deficiency and 11-β hydroxylase deficiency.
11-β hydroxylase deficiency is more common.
17-α hydroxylase deficiency is an uncommon form of congenital adrenal hyperplasia.